The best prognosis in carcinoma stomach is with:
1. Superficial spreading type
2. Ulcerative type
3. Linitis plastic type
4. Polypoidal type

Correct answer: 1. Superficial spreading type

Explanation: Ans. (a) Superficial spreading typeRef: Sabiston 20th Edition, Page 1214* Good prognosis is superficial spreading type and bad prognosis is Linitis Plastica type.